Hypothalamic amenorrhea is seen in:
1. Asherman syndrome
2. Stein-leventhal syndrome
3. Kallman syndrome
4. Sheehan's syndrome

Correct answer: 3. Kallman syndrome